Congenital long QT syndrome can lead to
1. Complete heart block
2. Polymorphic ventricular tachycardia
3. Acute myocardial infraction
4. Recurrent supraventricular tachycardia

Correct answer: 2. Polymorphic ventricular tachycardia

Explanation: Polymorphic VT has a continually changing QRS morphology indi- cating a changing ventricular activation sequence. Polymorphic VT that occurs in the context of congenital or acquired prolongation of the QT interval often has a waxing and waning QRS amplitude creat- ing a "twisting about the points" appearance referred to as Torsade de Pointes Ref Harrison 20th edition pg 1445